Normal development of ovaries in a female with absent uterus and vagina indicates which of the following genetic conditions?
1. Turner's syndrome
2. Testicular feminizing syndrome
3. Mullerian agenesis
4. Gonadal dysgenesis

Correct answer: 3. Mullerian agenesis

Explanation: Mullerian agenesis is the failure of the paramesonephric ducts to develop. In mullerian agenesis, the ovaries are not affected and thus ovarian function is normal. Secondary sexual development and height are in a normal range. The condition is also called MRKH or Mayer-Rokitansky-Kustner-Hauser Syndrome. Ref: Clinical Reproductive: Medicine and Surgery By Tommaso Falcone, William W. Hurd, William W. Hurd, 2007, Page 237 ; Shaw, 13th ed, Page 87